10 year old child is brought to OPD with fever, neck rigidity, convulsions and signs of meningeal irritation CSF examination shows normal glucose, slightly high proteins, on gross examination appears to be clear. What is the most probable diagnosis
1. Viral meningitis
2. Bacterial meningitis
3. Tubercular meningitis
4. Sub-arachnoid hemorrhage

Correct answer: 1. Viral meningitis

Explanation: Parameters
Bacterial meningitis
Tubercular meningitis
Viral meningitis


1) CSF pressure
Raised
Raised
Raised


2) Gross appearance
Turbid
Cobweb formation
Clear


3) Glucose
Very low
Very low 
Normal


4) Protein 
High
Very high
Slightly high


5) Cells
Neutrophils
Lymphocytes
Lymphocytes.